All develop from mesoderm except -
1. Skeletal muscle
2. Testes
3. Enamel
4. Ureter

Correct answer: 3. Enamel

Explanation: Ans. is 'c' i.e,, Enamel o Enamel develops from the surface ectoderm,o Mesoderm can be divided intoParaxial mesoderm- Organised into segments called somitomeres.- Give rise to-myotome&'dermatomes/sclerotomes,Intermediate mesoderm- Nephro tomes- Nephrogenic cord- These give rise to kidney, ureter, trigone of bladder, post wall of female urethra, upper half of prostate and inner glandular zone of prostrate ,male and female reproductary organ.Lateral plate mesoderm- Somatopleuric (parietal layer)-al! connective tissue, fascia, ligaments, muscles.- Splanchnopleuric (visceral la!yer)-lining of mesothelium of pleura, peritoneum, pericardial cavities, tunica vaginalis,b!ood and lymph, wall of heart, blood vessels and lymph vessles.